In the fed state, major fate of glucose-6-phosphate in tissues is:
1. Storage as fructose
2. Storage as glyceraldehyde-3-phosphate
3. Enters HMP shunt via ribulose-5-phosphate
4. Storage as glycogen

Correct answer: 4. Storage as glycogen

Explanation: Ans. D. Stored as Glycogen(Ref: Harper 31/e page 136,137)The uptake of glucose into the liver GLUT 2 is independent of insulin.In the well fed state, the concentration of glucose entering the liver increases, so does the rate of synthesis of glucose-6-phosphateThis is in excess of the liver's requirement for energy-yielding metabolism. So it is used mainly for synthesis of glycogen.In both liver and skeletal muscle, insulin acts to stimulate glycogen synthetase and inhibit glycogen phosphorylase.